Which of the following circumstances trigger non invasive to invasive ventilation
1. Respiratory arrest
2. RR > 35 /min
3. Sev acidosis < 7.25
4. All of the above

Correct answer: 4. All of the above

Explanation: Circumstances in which non invasive positive pressure ventilation should be changed to invasive ventilation Resp arrest Rr > 35/min Sev dyspnea with use of accessory muscles and possibly paradoxical breathing Life threatening hypoxemia PaO2 <40 mm hg Or PaO2/FiO2 <200 Sev acidosis (pH <7.25 ) and hyperapnia (PaCO2 >60 mm hg ) Hypersomnolence , impaired mental status Cardiovascular complication Failure of non invasive positive pressure ventilation Other circumstances (e.g metabolic abnormalities ,sepsis , pneumonia , pulmonary embolism , barotrauma, massive pleural effusion )